Acute otitis media is most commonly caused by:
1. Streptococcus pneumoniae
2. Hemophilus influenzae
3. Staphylococcus aureus
4. Klebsiella pneumoniae

Correct answer: 1. Streptococcus pneumoniae

Explanation: Ans. (a) Streptococcus pneumoniaRef: Dhingras ENT 6th ed./62* Acute otitis media is most commonly caused by Streptococcus Pneumonia. However it can also be caused by H.Influenzae and Moraxella catarrhalis.# Causative Agents:INFECTIONMC ORGANISMPerichondritisPseudomonasMalignant otitis externaPseudomonasLocalized otitis externaStaphylococcus AureusAcute suppurative otitis mediaStrep PneumoniaeChronic otitis MediaPseudomonas